Arch of aorta is derived from all except
1. Left horn of aortic sac
2. Left 2nd arch artery
3. Left 4tharch artery
4. Left dorsal aorta

Correct answer: 2. Left 2nd arch artery

Explanation: Arch of aorta develops from aortic sac, left horn of aortic sac and left 4th arch artery. Ref: Gray's 39e/p-210-220